Which of the following is not a type of chronic Osteomyelitis:
1. Garre's Osteomyelitis.
2. Chronic suppurative Osteomyelitis.
3. Condensing osteitis.
4. None of the above.

Correct answer: 4. None of the above.

Explanation: Types of chronic osteomyelitis are:

Chronic suppurative osteomyelitis
Chronic focal sclerosing osteomyelitis (condensing osteitis).
Chronic diffuse sclerosing osteomyelitis.
Sclerotic cemental masses.
Chronic osteomyelitis with proliferative periostitis (Garre's osteomyelitis).